The most dependable means of personal identity is
1. Anthropometry
2. Dactylography
3. Super imposition
4. Photography

Correct answer: 2. Dactylography

Explanation: Finger print or dactylography is the most dependable means